Which of the following is true about cholesterol?
1. Made up of 25 carbons
2. There is a hydroxyl group at 5th carbon
3. Contain the cyclic tetra-perhydrophenanthrene ring
4. Amphipathic in nature

Correct answer: 4. Amphipathic in nature

Explanation: Cholesterol : Made up of 27 carbons Ring in cholesterol is cyclo-penta-perhydrophenanthrene (CPP) One of the major constituent of the plasma membrane and of plasma lipoproteins. A hydroxyl group is present at position 3. Due to one -OH group, it has a weak polar character among the mostly non-polar part. Hence it an amphipathic molecule.